Vitamin D is synthesized by?
1. Keratinocytes
2. Granular cells
3. Melanocytes
4. Prickle cells

Correct answer: 1. Keratinocytes

Explanation: The keratinocytes of the skin are unique in being not only the primary source of vitamin D for the body, but in possessing the enzymatic machinery to metabolize vitamin D to its active metabolite 1,25 dihydroxy vitamin D. Furthermore, these cells also express the vitamin D receptor (VDR) that enables them to respond to the 1,25(OH)2D they produce.